A young female with 2 month amenorrhea presents with sudden abdominal pain with adnexal mass, urine pregnancy test is positive. Most likely diagnosis:
1. Ovarian tumor
2. Ectopic pregnancy
3. Pelvic tumor
4. Ovarian cyst

Correct answer: 2. Ectopic pregnancy

Explanation: Ans. b. Ectopic pregnancy (Ref: William's Obstetrics 22/e p253, 265)